Which of the following NSAID has good tissue penetrability with concentration in synovial fluid
1. Ketorolac
2. Diclphenac sodium
3. Sulindac
4. Piroxicam

Correct answer: 2. Diclphenac sodium

Explanation: (Diclofenac sodium) (178 - KDT) (193-KDT 6th)* DICLOFENAC - SODIUM - Well absorbed orally 99% protein bound, metabolized and excreted both in urine and bile However it has good tissue penetrability and concentration in synovial fluid is maintained for 3 times long period than in plasma, exerting extended therapeutic action in joints* PIROXICAM - It is reversible inhibitor of COX, lowers PG concentration in synovial fluid and inhibits platelet aggregation prolonging bleedmg time* KETOROLAC - It is highly plasma protein bound and 6% excreted unchanged in urine major metabolic pathway is glucoronidation* SULINDAC - At lower doses is a selective extrarenal PG synthesis inhibitor - does not antagonize the diuretic and anti hypertensive action of thiazides, P blockers and ACE inhibitors or alter renal functions